According to WHO latest treatment of leprosy is?
1. 2 yrs. or negative slit smear negative (PGI 96) which ever is longer for multibacillar
2. Life long treatment
3. Six months treatment for paucibacillary
4. Not specified

Correct answer: 3. Six months treatment for paucibacillary

Explanation: Ans. is 'c' i.e., Six months treatment for paucibacillary